Looser's zone occurs in
1. Pubic rami
2. Femoral neck
3. Ribs
4. All the above

Correct answer: 4. All the above

Explanation: Looser's zone or pseudofracture typically occurs in, pubic rami, Femoral neck, medial border of scapulae, ribs, metatarsals and long bones.